1st evidence of calcification of Mandibular Central Incisor is seen in
1. 10 months
2. 2 months
3. 3-4 months
4. 6-8 months

Correct answer: 3. 3-4 months